The role of sodium metabisulfite in Local anesthetic agent is:
1. Preservative
2. Fungicide
3. Reducing agent
4. Vaso constrictor

Correct answer: 3. Reducing agent